Sputum can be disinfected by all of the following methods, EXCEPT:
1. Boiling
2. Autoclaving
3. Cresol
4. Chlorhexidine

Correct answer: 4. Chlorhexidine

Explanation: Sputum can be disinfected using 5% cresol or autoclaving or by boiling. Mycobacterial tuberculosis is resistant to chlorhexidine, acids and alkalies. Of the phenols o-phenylphenol is effective, alcohols, formaldehyde, formaldehyde alcohol, iodine alcohol and ethylene oxide are tuberculocidal agents. Disinfectants commonly used: Faeces and urine: disinfectants used are bleaching powder, formalin, cresol and phenol Room: First wash with soap water Mopping with 5% phenol or 2.5% cresol Spraying of formalin 500ml/1000cu ft Expose to formaldehyde vapor for 24 hours Linen: Boiling, steam disinfection. Exposure formalin gas Dead bodies: 10% formalin or 5% phenol Instruments: 3% Lysol